Dementia is a feature of which disease?
1. Whipple
2. Celiac
3. Tropical sprue
4. Chron

Correct answer: 1. Whipple

Explanation: Whipple : Other features are nystagmus, ophthalmoplegia, joint pains.